The following is used to assess breathing pattern:
1. Spirometry
2. Barometer
3. All
4. None

Correct answer: 1. Spirometry

Explanation: Spirometry: It is the most common of the lung function tests It is used to assess breathing patterns and diseases like cystic fibrosis,asthama, pulmonary fibrosis,COPD Ref: Guyton and Hall textbook of medical physiology 12th edition, page number:324,325